Uncoupler of oxidative phosphorylation -
1. CN
2. CO
3. H2S
4. 2 DNP

Correct answer: 4. 2 DNP

Explanation: Ans. is 'd' i.e., 2 DNP o As the name suggests, these componds block the coupeling of oxidation with phosphorylation. These compounds allow the transfer of reducing equivalents in respiratory chain but prevent the phosphorylation of ADP to ATP by uncoupling the linkage between ETC and phosphorylation. Thus the energy instead of being trapped by phosphorylation is dissipated as heat. Uncouplers may be:-i) NaturalThermogenin, thyroxineii) Synthetic2,4-dinitrophenol (2,4-DNP), 2,4-dinitrocresol (2,4-DNC), and CCCP (chlorocarbonylcyanidephenyl hydrazone).